Recurrant dislocation of shoulder is most commonly associated with
1. Anterior dislocation
2. Posterior dislocation
3. Inferior dislocation
4. All of the above

Correct answer: 1. Anterior dislocation